The chemical name of Aspirin is?
1. Methyl salicylate
2. Para-aminobenzoic Acid
3. Para-aminisalicylic acid
4. Acetyl salicylic acid

Correct answer: 4. Acetyl salicylic acid

Explanation: Aspirin is Acetylsalicylic acid which converts to salicylic acid in the body, responsible for the action. ESSENTIALS OF MEDICAL PHARMACOLOGY;7TH EDITION; KD TRIPATHI; PAGE NO 195